Residual chlorine level after swimming pool sanitation
1. >0.5 mg/l
2. >0.7 mg/l
3. >1 mg/l
4. >0.7 ppm

Correct answer: 3. >1 mg/l